Babes - Ernst bodies are characteristically seen in?
1. Diphtheria bacilli
2. Anthrax bacilli
3. Borrelia
4. Gonococci

Correct answer: 1. Diphtheria bacilli

Explanation: When Diphtheria bacilli are stained with Loeffler's methylene blue, the granules take up a bluish purple colour and hence they are metachromatic granules. They are also called as volutin / Babes Ernst granules. They are situated at the poles of bacilli so called polar bodies. Stains like - Albert's, Neisser's, Ponder's have been used for demonstrating the granules. Do You Know: Intradermal test which provide information regarding immune status and hypersensitivity to diphtheria toxin is Schick test.